Uretheritis is seen in -
1. Reiters syndrome
2. Gout
3. Rheumatoid arthritis
4. PAN

Correct answer: 1. Reiters syndrome

Explanation: Ans. is 'a' i.e., Reiter syndrome o Reiter-s syndrome was a term used bv Hans Reiter to describe a clinical triad ofUrethritisQArthritisQ andConjunctivitisQ occurring some weeks after either dysentery or venereal infection.o Bui it is now recognized, that this is one of the classic forms of reactive arthritis i. e.,An aseptic inflammatory arthritis associated with non-specific urogenital or bowel infection.More on Reiter's syndrome or Reactive arthritis :o It occurs in 1-3% of all people who develop either non-specific urogenital infection or shigella dysenteryQ, but its incidence may be as high as 25%Q in those who are HLA-B27Q positive,o Men are affected more than womenQ (young men are more prone)The striking symptoms are -o Polyarthritiso Urethritis, cervicitis, cystitiso Conjuncvitiso Less frequent but equally characteristic features are a vesicular or pulstular dermatitis of the feet (keratoderma blenorrhagicumQ) balanitis and mild buccal ulcerations.